All of the following are true about minimal change nephrotic disease except
1. Response to steroids
2. Selective proetinuria
3. IgG deposition in the mesangium
4. Common in the age group 2-9 years

Correct answer: 3. IgG deposition in the mesangium

Explanation: Reference Robbins page no Pg 923Minimal change disease is the most frequent cause of nephrotic syndrome in children; it is manifested by protein- uria and effacement of glomerular foot processes without antibody deposits; the pathogenesis is unknown; the disease responds well to steroid therapy.